Carcinomas of all of following sites metastasize to vertebral column except -
1. Breast
2. Bronchus
3. Prostate
4. Esophagus

Correct answer: 4. Esophagus